Radiation hazard is absent in -a) MRIb) Doppler USGc) Digital substraction angiographyd) Tc 99 scan
1. ab
2. a
3. ad
4. bc

Correct answer: 1. ab

Explanation: USG and MRI have no radiation exposure.